A patient with Lefort-II, Lefort-III and nasoethmoidal fracture with intermaxillary fixation done is best intubated by:
1. Nasal
2. Oral
3. Submental
4. All of the above

Correct answer: 3. Submental